Hallucinations are seen after --------------------------------------anaesthesia -
1. Ketamine
2. Thiopentonc
3. Fentanyl
4. Nitrous oxide

Correct answer: 1. Ketamine

Explanation: Ans. 'a' i.e., Ketamine o Ketamine cause emergence reaction which is manifested as hallucinations and illusions.